Risk of having a child with Down syndrome:
1. Is unaffected by maternal age
2. Decreases with increase in maternal age
3. Increases with increase in paternal age
4. Increases with increase in maternal age

Correct answer: 4. Increases with increase in maternal age

Explanation: d. Increases with increase in maternal age(Ref: Nelson's 20/e p 610-614)Risk of Down Syndrome Increased with Increase in Maternal AgeMaternal ageIncidence of Down Syndrome20 years1 in 150030 years1 in 90040 years1 in 10045 years1 in 30